Condition suitable for adipocere formation ?
1. Cold and dry environment
2. Warm and dry environment
3. Warm and damp environment
4. Cold and damp environment

Correct answer: 3. Warm and damp environment

Explanation: Ans. is 'c' i.e., Warm and damp environment Adipocere It is also called saponification It is a modification of putrefaction In this, the fatty tissues of the body change into substance known as adipocere. It is most commonly seen in the body immersed in water or in damp, warm environment. Moisture present, warmth present, air present - Putrefaction. Moisture present, warmth present, air absent, i.e. warm humid climate - Adipocere formation (saponification). Moisture absent, warmth present, air present, i.e. hot dry climate - Mummification.